An African presented with itching with rashes and inguinal lymph nodes. Skin snips shows microfilariae which are non-sheathed. The most probable organism will be:
1. Wuchereria bancrofti
2. Brugia malayi
3. Brugia timori
4. Mansonella streptocerca

Correct answer: 4. Mansonella streptocerca

Explanation: Mansonella streptocerca is transmitted by biting midges. The major clinical manifestations involve the skin and include pruritus, papular rashes, and pigmentation changes. Many infected individuals have inguinal adenopathy, although most are asymptomatic. The diagnosis is made by detection of the characteristic microfilariae in skin snips. Ivermectin is the treatment of choice for streptocerciasis. Non-sheathed microfilariae are: Onchocerca volvulus Mansonella ozzardi M. perstans M. streptocerca Sheathed microfilariae are: Wuchereria bancrofti Brugia malayi B. timori Loa loa Ref: Harrison's Online > Part 8. Infectious Diseases > Section 19. Helminthic Infections > Chapter 218- Filarial and Related Infections, by Thomas B. Nutman, Peter F. Weller.